Which of the following drug used in asthma is not a branchodilator -
1. Salbutamol
2. Beclomethasone
3. Theophylline
4. Ipratropium

Correct answer: 2. Beclomethasone

Explanation: Ans. is 'b' i.e., Beclomethasone Drugs used in asthmaBronchodilatorsDrugs reducing inflammationLeukotriene antagonistsMast cell stabilizers CorticosteroidsAnti-IgE antibody a) b2 Sympathomimeticso Montelukasto Sodium cromoglycate a) Systemico Omalizumabo Salbutamolo Terbutalineo Zafirlukasto Ketotifeno Hydrocortisone o Bambuteralo Salmeterol o Prednisolone o Formoterolo Ephedrine b) Inhalation b) Methylxanthines o Beclomethasome o Theophyllineo Aminophylline o Budesonide o Doxophylline o Fluticasone c) Anticholinergics o Flunisolide o Ipratropiumo Tiopratropium o Ciclesonide